Metronidazole is NOT effective in the treatment of
1. Amoebiasis
2. Infections due to Bacteroides fragilis
3. Infections due to Pneumocystis carinii
4. Acute necrotizing ulcerative gingivitis

Correct answer: 3. Infections due to Pneumocystis carinii